All of the following factors are responsible for resurgence of malaria, except:
1. Drug Resistance in Parasite
2. Insecticide Resistance in vectors
3. Antigenic mutations in parasite
4. Use of bed nets

Correct answer: 4. Use of bed nets

Explanation: Mosquito nets are a personal protection measure from mosquito bites during sleep. They are not responsible for resurgence of malaria. Ref: Preventive and Social Medicine, by K.Park, 19th edition, Page 210, 219, 346, 628; Harrison's Principles of Internal Medicine, 16th edition, Page 1221.